Tietz syndrome is
1. Costochondritis of second rib
2. Costochondritis of 4th rib
3. Superficial thrombophlebitis of breast
4. Fibroadenoma of breast

Correct answer: 1. Costochondritis of second rib

Explanation: It causes breast pain which is non cyclical.